According to ADA guidelines, the diagnosis of diabetes is made when the fasting blood glucose is more than -
1. 126 mg/dl
2. 100 mg/dl
3. 140 mg/dl
4. 200mg/dl

Correct answer: 1. 126 mg/dl

Explanation: Ans. is 'a' i.e., 126 mg/dl